Bronchocentric granulomatosis commonly occurs due to?
1. Hypersensitivity reaction to Aspergillus
2. Immunological reaction to HIV
3. Damage by c- ANCA
4. Damage by p-ANCA

Correct answer: 1. Hypersensitivity reaction to Aspergillus

Explanation: Bronchocentric Granulomatosis is characterized by peri-bronchial necrotising granulomatous inflammation. It occurs due to: Hypersensitivity reaction to Aspergillus in patients with asthma. In patients without asthma, rheumatoid arthritis and infections like TB are associated. Immunological reaction to HIV virus leads to lymphocytic interstitial pneumonitis.